A patient presented with short lasting episodic behavioural changes which include agitation and dream like state with thrashing movements of his limbs. He does not recall these episodes and has no apparent precipitating factor. Which of the following is the most likely diagnosis?
1. Panic episodes
2. Schizophrenia
3. Temporal lobe epilepsy
4. Dissociative disorder

Correct answer: 3. Temporal lobe epilepsy

Explanation: The patient in the question has most likely suffered an attack of temporal lobe epilepsy. The loss of consciousness need not always be present but it is associated with loss of memory for the episode. In temporal lobe seizure, the patient usually experiences auras or warning signs, epigastric discomfort, olfactory hallucination, sensation of deja vu. A dream like state is often a feature of TLE. There may be loss of consciousness abnormal movement of mouth, and rarely abnormal movement of body. Frontal lobe epilepsy is also associated with episodes of agitation known as 'intermittent explosive disorder'. Ref: Clinical Neuroanatomy By Stephen G. Waxman, 26th Edition, Chapter 19